Most essential drugs should be formulated as
1. No compound
2. Single compound
3. Multiple compounds
4. Fixed dose combinations

Correct answer: 2. Single compound